Meningitis with normal glucose is seen in -
1. TB
2. Cryptococcus
3. Coxsackie
4. Listeria

Correct answer: 3. Coxsackie